An angiographic study of the distal part of the circle of Willis requires access to the vertebral artery. Access to this artery can be obtained the?
1. Anterior triangle of the neck
2. Muscular triangle of the neck
3. Posterior triangle of the neck
4. Suboccipital triangle

Correct answer: 4. Suboccipital triangle

Explanation: The suboccipital triangle lies in the neck at the base of the skull. The suboccipital triangle is bounded by the inferior oblique, rectus major, and superior oblique muscles. The vertebral artery can be found within the suboccipital triangle, lying on the posterior arch of the atlas, lateral to the midline, typically at about the level of the lower portion of the ear lobe. Care should be taken in accessing the vessel, since the first cervical nerve lies between the vertebral artery and the posterior arch of the atlas.